Kuppuswami's classification of socio economic status is based on all of the following indices, EXCEPT:
1. Income
2. Occupation
3. Education
4. House type

Correct answer: 4. House type

Explanation: Kuppuswamy's classification is an index for estimation of socio-economic status. The 3 variables used in this classification to assess socio economic status are education, occupation and income. House type is not considered in this classification. Ref: Parks Textbook of Preventive and Social Medicine 20th edition page 602.